Which does not happen in Unilateral Renal Trauma -
1. Hypertension
2. Uraemia
3. Clot formation
4. Perinephric haematoma

Correct answer: 2. Uraemia